A woman was taking progestin only pill for contraception. Which side-effect is not likely to occur :
1. Acne
2. Amenorrhea
3. Dysmenorrhea
4. Obesity

Correct answer: 3. Dysmenorrhea

Explanation: Drawbacks of progesterone only pill Irregular bleeding Amenorrhea Weight gain Acne Migraine Headache Depression Ectopic pregnancy Breast cancer Thromboembolism Ref: Shaw Gynecology 17 e pg 266.